BIRAD-4 means the breast lump is
1. Benign
2. Probably benign
3. Suspicious of malignancy
4. Malignant

Correct answer: 3. Suspicious of malignancy

Explanation: Answer-C. Suspicious of malignancyTo assist in risk stratification, the American College of Radiology has developed a Breast Imaging Reporting and Data System (BIRADS) to standardize the criteria by which mamographic abnormalities are graded.The BIRADS score is provided to guide the surgeon toward the likelihood of malignancy. Scores of 4 or 5 warrant biopsy.